Which vaccine is not indicated during pregnancy?
1. Polio
2. Typhoid
3. Rubella
4. TT

Correct answer: 3. Rubella

Explanation: Rubella